A common indication of septoplasty -
1. DNS with symptoms
2. Anosmia
3. Sluder's neuralgia
4. Septal spur

Correct answer: 1. DNS with symptoms